Which one of the following is the investigation of choice for evaluation of suspected Perthe's disease?
1. Plain X-ray
2. Ultrasonography (US)
3. Computed Tomography (CT)
4. Magnetic Resonance Imaging (MRI)

Correct answer: 4. Magnetic Resonance Imaging (MRI)

Explanation: MRI is helpful to assess the area of infarction & femoral head contour . *radiographic assessment is necessary to determine the progress of the disease ,sphericity of femoral head , epiphyseal extrusion or collapse & response to treatment . *salter extrusion angle helps to assess femoral head extrusion . *arthrography is useful in the early resorptive stage of the disease *radionuclide bone scan - used to detect potential form of perthes disease. REF:textbook of orthopedics, John ebnezer, 4th edition ,pg.no.414